Child sex ration is -
1. Female 0-6/1000 males
2. Female 0-5/1000 males
3. Male 0-5/1000 females
4. 0-6male/1000 females

Correct answer: 1. Female 0-6/1000 males

Explanation: Child sex ratio Is defined as number of female children 0-6 years age per thousand male children 0-6 years age Child sex ratio (India) : 919 (Highly unfavourable) Ref: Park 25th edition Pgno : 534